A 9 years old Raju develops sudden loss of vision in both eyes. following an attack of measles. The probate cause is -
1. B/L optic neuritis
2. Encephalitis
3. Keratonealacia
4. Raised intraocdura pressure

Correct answer: 1. B/L optic neuritis